PASCAL is used for
1. Angiography
2. Laser photocoagulation
3. RNFL thickness
4. Ganglion cell layer

Correct answer: 2. Laser photocoagulation

Explanation: Laser photocagulations RETINAL INSTRUMENTS * OCT: Measure RNFL thickness, Ganglion cell volume, Optic nerve head parameters & retinal layers. Cystoid Macular edema is classified according to OCT classification. * OCT- Angio that shows retinal vasculature without the use of dye. * PASCAL- Patterned scanned laser used for photocoagulation. * Spectralis- can do FA, OCT, ICG in same machine. * Retcam 3- Seeing & documenting pediatric retinal diseases, (ROP, Choroidopathies & Dystrophies) * Fugo blade- Used for both anterior, posterior capsulorrhexis & PHPV.